International red cross was founded by-
1. Henry dunant
2. Claude bernard
3. samuel hahnemann
4. Gergar mendel

Correct answer: 1. Henry dunant

Explanation: Ans. is 'a' i.e., Henry dunant* The international committee of the Red Cross (ICRC) is a private humanitarian institution founded in 1863 Geneva, Switzerland, by Henry Dunant and Gustave Moynier. Its 25-member committee has a unique authority under international humanitarian law to protect the life and dignity of the victims of international and internal armed conflicts. The ICRC was awarded the Nobel Peace Prize on three occasions (in 1917, 1944 and 1963)